International certificate for travelling is required for -
1. Pertusis
2. Yellow fever
3. Cholera
4. Plague

Correct answer: 2. Yellow fever

Explanation: Ans. is 'b' ie Yellow Fever "India and most other countries require a valid certificate of vaccination against yellow fever from travellers coming from infected areas.It rests with each country to decide whether a certificate of vaccination against yellow fever shall be required for infants under one year of age. India requires vaccination of infants too.The validity of the certificate begins 10 days after the date of vaccination and extends up to 10 years." - Park, 17/e